Splenic injury is best detected by:
1. Diagnostic peritoneal lavage
2. CT
3. Ultrasonography
4. Isotope scan

Correct answer: 2. CT

Explanation: Diagnosis of splenic injury is most specifically made and quantitated by CT. Diagnostic peritoneal lavage is useful for detecting intra-abdominal bleeding, but not specific to splenic injury. Isotope scans are useful to a point but do not delineate the anatomy of the spleen that is injured. Classifications of splenic injury are currently being developed based on the images provided by CT scans and are evolving into prospective decision trees for operation or conservative management.